Class I anti arrhythmic drugs belongs to all EXCEPT:
1. Quinidine
2. Procainamide
3. Flecainide
4. Propranolol

Correct answer: 4. Propranolol

Explanation: (Propranolol): Ref: ANTIARRHYTHMIC DRUGS Class I. Membrane stabilizing agents (Na+ channel blockers) A Moderately decreases dv/dt of o-phase B Little decrease in dv/dt of o-phase C Marked decrease in du/dt of o-phase Quinidine, Procainamide Disopyramide, Mircizine Lignocaine, Mexiletine phenytoin Propafenone, Flecanide II. Antiadrenergic agents (pblockers) Propranolol, esmolol, Sotalol (also class III) III. Agents widening AD (Prolong repolarizing and ERP) Amiodarone, Bretylium (also class II) Dofetide IV Calcium channel blockers Verapamil, Diltiazem